Polyhydramnios is associated with all except :
1. Diabetes
2. Open spina bifida
3. Multiple pregnancy
4. Renal agenesis

Correct answer: 4. Renal agenesis

Explanation: Renal agenesis